Which is the most common site of pelvic apophyseal avulsion fractures?
1. Lesser trochanter.
2. Anterior superior iliac spine (ASIS).
3. Anterior inferior iliac spine (AIIS).
4. Ischial tuberosity.

Correct answer: 4. Ischial tuberosity.

Explanation: Ans. D. Ischial tuberosity.The pelvic apophyses appear in early adolescence and fuse around age 14-16. Avulsions therefore occur most commonly in teenagers during sporting activities. Football and gymnastics are commonly associated with these injuries. Avulsion of the ischial tuberosity is the commonest type caused by sudden hip flexion with knee extension such as striking a football. The diagnosis is usually apparent on plain radiographs. Avulsion injuries are best treated conservatively with a gradual return to sporting activity after 3 months. Unrecognized avulsions may heal with abundant callus and can be misdiagnosed as bone tumors. The situation can be clarified with CT or MR imaging.